Perimetry is a test to assess the:
1. Visual acuity
2. Intraocular pressure
3. Visual field
4. Depth of the anterior chamber

Correct answer: 3. Visual field

Explanation: Ans. Visual field